Causative agents of "Vincent's angina"
1. Borrelia vincenti and fusobacterium fusiformis
2. Borrelia recurrents and bacteroides
3. Borrelia burgoloferi and lactobacillus
4. Leptospira and Treponema pallidum

Correct answer: 1. Borrelia vincenti and fusobacterium fusiformis